In glycolysis, the following forms as the byproduct:
1. Pyruvate
2. H2O
3. H+
4. All of the above

Correct answer: 4. All of the above

Explanation: Glycolysis is the metabolic pathway that breaks down (catabolism) hexose (six-carbon) monosaccharides such as glucose, fructose, and galactose into two molecules of pyruvate, two molecules of ATP, two molecules of NADH, two water (H2O) molecules, and two hydrogen ions (H+). Ref: Janson L.W., Tischler M.E. (2012). Chapter 6. Carbohydrate Metabolism. In L.W. Janson, M.E. Tischler (Eds), The Big Picture: Medical Biochemistry.